The prevalence of Candida glabrata infection is found to be 80% in a population of 100. If the test is repeated for 95% confidence levels, then what will be the range of prevalence for the Candida glabrata infection?
1. 70 to 90
2. 72 to 88
3. 65 to 95
4. 4 to 100

Correct answer: 2. 72 to 88

Explanation: The range obtained by repeating a test is given by the formula: p ± 2 √p (100-p) / n
where,
p = prevalence of the study as established from previous studies n = sample size used for the present study
In this particular example, p = 80
n = 100.
Hence, the range estimated would be = 80 ± 2 √80 (100-80) / 100

80 ± 2 x 4
80 ± 8
72 to 88